Which of the following is the commonest nephropathy seen in a patient with cancer?
1. Minimal change disease
2. IgA nephropathy
3. Membranous nephropathy
4. Focal segmental glomerulosclerosis

Correct answer: 3. Membranous nephropathy

Explanation: Membranous nephropathy Most common cause of nephrotic syndrome in elderly patients. M.c.c. of nephrotic syndrome associated with solid cancers.